Incidence of hyperprolactinemia is highest with
1. Aripiprazole
2. Olanzapine
3. Clozapine
4. Risperidone

Correct answer: 4. Risperidone

Explanation: Tubero infundibular To hypothalamus Regulates prolactin Dopamine decreases prolactin Galactorrhea Amenorrhea Sexual dysfunctions the maine side effects of antipsychotic depends on the site of blockage of dopaine when the dopamine is blocked in tuberoinfundibular pathway there is result of Hyperprolactinemia increased prolactin, which presents as galactorrhea, amenorrhea and sexual dysfunction. -endocrinal side effects are high with risperidone and amisulpride. Overall least EPS -Clozapine Least EPS among typical antipsychotics-thioridazine Ref: Essentials of postgraduate psychiatry By JN Vyas 1st ed Pg: 410-412